DNA fingerprinting is based on possessing in DNA of -
1. Constant Tandem Repeat
2. Variable Number Tandem Repeats (VNTR)
3. Non-repeatative sequence
4. Exon

Correct answer: 2. Variable Number Tandem Repeats (VNTR)

Explanation: Variable number of tandem (one after another) repeats (VNTR), is unique for any individual & therefore serves as molecular DNA fingerprint. VNTR may be short tandem (microsatellite) or large tandem (minisatellite) repeats.